Causes of low urinary calcium include?
1. Renal tubular acidosis
2. Cushing's syndrome
3. Chronic glomerulonephritis/CKD
4. Paget's disease

Correct answer: 3. Chronic glomerulonephritis/CKD

Explanation: RTA 1- hypercalciuria and nephrolithiasis. In Cushing syndrome- | cortisol- | bone turnover and increased urinary calcium is seen. In Paget's disease of bone, urinary calcium is normal or increased In chronic glomerulonephritis, ESRD will ensue- decrease in vitamin D3, hypocalcemia and low urinary calcium. Causes of Hypocalciuria Drugs including thiazide diuretics Hypoparathyroidism, Pseudohypoparathyroidism Rickets Hypothyroidism Nephrosis/chronic kidney disease Familial hypocalciuric hypercalcemia (FHH), also known as familial benign hypercalcemia